Minimum inhibitory concentration is ?
1. The concentration of antibiotic which kills 99.9% of the bacteria
2. Maximum concentration of an antibiotic which prevents visible growth of a bacterium
3. Minimum concentration of an antibiotic which prevents visible growth of a bacterium
4. None of the above

Correct answer: 3. Minimum concentration of an antibiotic which prevents visible growth of a bacterium

Explanation: Ans. is 'c' i.e., Minimum concentration of an antibiotic which prevents visible growth of a bacterium Antimicrobial sensitivity To estabilish the activity of an antimicrobial agent, microrganisms are tested for their ability to grow in the presence of suitable concentration of drug. Methods used are ? 1. Disc diffusion method 2. Broth culture with break point Potency of antimicrobial agents is often referred as M1C. 1. Minimum inhibitory concentration (MIC) Lowest concentration of an antibiotic which prevents visible growth of a bacterium. 2. Minimum bactericidal concentration (MBC) The concentration of an antibiotic which kills 99.9% of the bacteria. 3. A small difference between MIC and MBC indicates that the antibiotic is primarily bactericidal, while a large difference indicates bacteriostatic action.